Most common cause of death in electric AC current burns is
1. Cardiac arrest
2. Myoglobinuria leading to ARF
3. Hemorrhagic stroke
4. Septic shock

Correct answer: 1. Cardiac arrest

Explanation: Cardiac arrythmias are usually cause of death. ECG required in all electric burns pts.